Nucleas ambiguous doesn't include -
1. 7th nerve nucleus
2. 9th nerve nucleus
3. l0th nerve nucleus
4. 11th nerve nucleus

Correct answer: 1. 7th nerve nucleus

Explanation: Ans. is 'a' i.e., 7th nerve o The nucleus ambiguous is a special visceral efferent nucleus. Special efferent nuclei supply the muscles derived from the branchial arches.Special visceral efferent nuclei:The motor nucleus of the trigeminal nerve in the upper part of ponsSupplies muscles of first arch through the mandibular division of the trigeminal nerve.The nucleus of the facial nere in the lower part of the ponsSupplies muscles of the 2nd arch through facial nerve.Nucleus ambiguous in the medullaIt supplies stylopharymgeus muscle through the glossopharyngeal nerve and the muscles of the palate, pharynx and lary nx through the vago-accessory complex.Thus the nucleus doesn't include 7th nerve.General somatic efferent nucleio Supply skeletal muscles of somatic originOculomotor nucleus in the midbrain at the level of superior colliculus supplies 5 extraocular muscles through the oculomotor nerve.Trochlear nucleus in the midbrain at the level of inferior colliculus supplies superior oblique muscle through the trochlear nerve.Abducens nucleus in lower pons supplies lateral rectus muscle through the 6th nerve.Hypoglossal nucleus in the medulla supplies muscles of the tongue except palatoglossus through the 12th nerve.General visceral efferent nucleio Give origin to preganglionic parasympathetic neurons that relay in peripheral ganglia and supply glands or smooth muscles.Edinger-westphal nucleus in the midbrain --- fibres pass through the 3rd nerve to the ciliary ganglion to supply the sphincter pupillae and cilliary muscle.Lacrimatory nucleus in the pons --- fibres pass through facial nerve and its greater petrosal nerve to relay in the pterygopalatine ganglion to supply lacrimal, nasal and palatal glands.Superior salivatory nucleus in lower pons --- fibres pass through facial nerve and its chorda tympani branch to the submandibular ganglion to supply submandibular and sublingual glands.Inferior salivatory nucleus in lower pons --- fibres pass through glossopharyngeal nerve to relay in the otic ganglion to supply parotid gland.Dorsal nucleus of vagus in medulla --- fibres pass through vagus nerve to be distributed to the thoracic and abdominal viscera thorugh respective ganglia.General visceral afferent and special visceral afferent nucleuso The only nucleus in this category is nucleus of tractus solitarius which lies in the medulla,o It receives general visceral sensations through the 9th and 10th nerves.o The special visceral afferent part is concerned with taste sensation and hence receives afferents from 7th, 9th and 10th nerves.General somatic afferent nucleiMain sensory nucleus of the trigeminal nerve -- for touch sensation from face2 Spinal nucleus of trigeminal nerve -- for pain and temperature sensations from face3. Mesencephalic nucleus of trigeminal nerve -- proprioception from muscles of masticationSpecial somatic afferent nuclei1. Cochlear nucleus receives impulses of hearing through cochlear nerve2 Vestibular nucleus receives sensations through vestibular nerve.